45 years old Ramlal has intra abdominal sepsis. The causative organism was found to be vancomycin, gentamycin and amplicillin resistant. It grows well in presence of 6.5% NaCl and arginine. Bile esculin hydrolysis is positive. Which of the following is this organsim ?
1. Strept. agalactae
2. Enterococcus fecalis
3. Streptococcus bovis
4. Streptococcus pneumoneae

Correct answer: 2. Enterococcus fecalis

Explanation: Growth in 6.5% NaCl is characteristic of Enterococci (E. faecalis, E. faecium, E. durans).